Ozurdex is?
1. 0.5 mg triamcinolone
2. 0.7 mg dexamethasone
3. 0.6 mg betamethasone
4. 0.7 mg Triamcinolone

Correct answer: 2. 0.7 mg dexamethasone

Explanation: Ans is b' i.e. 0.7 mg dexamethsone Ozurdex o Ozurdex is an intravitreal implant containing 0.7 mg (700ug) dexamethasone in the solid polymer drug delivery system (NOVAD UR). o Ozurdex is specifically indicated in macular edema following branch retinal vein occlusion (BRVO) or central retinal vein occlusion (CRVO). o Recently, efficacy of ozurdex in the treatment of intermediate and posterior uveitis has also been demostrated. Mechanism of action o Dexamethasone is a potent corticosteroid and suppress inflammation by inhibiting multiple inhibitory cytokines resulting in decreased edema, fibrin deposition, capillary leakage and migration of inflammatory cells. Adverse effects and contraindications Intraocular pressure increase, conjunctival hemorrhage, eye pain, conjunctival hyperemia, ocular hypertension, cataract, vitreous detachment, headache. o Contraindicated in infections, advanced glaucoma, hypersensitivity. Other important drug delivery system for eye Medidur: Delivers Fluocinolone acetonide Retise: Delivers Fluocinolone acetonide Vitrase: Delivers ganciclovir